Ebstein's anomaly is seen with intake of ?
1. Mercury
2. Copper
3. Lithium
4. Lead

Correct answer: 3. Lithium

Explanation: Ans. is `c' i.e., LithiumThe etiology of the majority of CHDs is not known.In less than 10% of cases the cause and effect relationship has been estabilished.Both environmental and hereditary factors play a role in the etiology of CHDs.1. Hereditary factors A higher incidence of CHD in siblings suggests heredity as an important factor. The strongest familial tendency is known in ASD associated with bony abnormalities (Holt oram syndrome). Other hereditary conditions have been mentioned in subsequent explanations.2. Environmental factors Those who have an inherited tendency, develop CHD due to unfavorable environmental factors. Of these the most well known is high altitude -4 There is higher incidence of PDA and ASD in children born at a high altitude. Other important environmental factors are : -Pulmonary stenosis, Aortic stenosisPhenytoin Coarctation of aorta, PDAAlcohol VSD, PDA, ASD, TOFRubella PDA, PS, ASD, VSDEndocardial cushion defectDown's syndrome ASD, VSD, TOFInfant of a diabetic GA, VSD, COA, PPHNCardiomyopathy mother Valproate ASD, VSD, AS, PA, COA